A 17-year-old boy sustains serious head and neck trauma during a football game. Physical examination shows a positive Babinski sign. What part of the brain has most likely been damaged in this boy?
1. Anterior motor neurons
2. Cerebellum
3. Corticospinal tract
4. Premotor cortex

Correct answer: 3. Corticospinal tract

Explanation: A positive Babinski sign in adults can indicate damage to the corticospinal tract. Positive Babinski sign occurs normally in children up to 2 years of age. The reflex occurs after the sole of the foot has been stroked with a blunt instrument; the big toe moves upward and the other toes fan out.